Among the following 5HT3 antagonist is ?
1. Cisapride
2. Ondansetron
3. Clozapine
4. Buspirone

Correct answer: 2. Ondansetron

Explanation: Ans. is 'b' i.e., Ondansetron o Stimulation of 5-HT3 receptor is responsible for vomiting induced by anticancer drugs. 5-HT3 receptor antagonists (ondansetron, granisetron and tropisetron) are DOCs for chemotherapy induced vomiting.